False about Horner's syndrome
1. Lack of sympathetic innervation
2. Loss of ciliospinal reflex
3. Horner's pupil dilates with topical cocaine
4. Confirmatory tests; dilation lag and cocaine test

Correct answer: 3. Horner's pupil dilates with topical cocaine

Explanation: In cocaine test - normal pupil dilates whereas Horner's pupil doesnot.